Which one of the following is considered a primary ligament of the TMJ?
1. Stylomandibular.
2. Sphenomandibular.
3. Stylohyoid.
4. Temporomandibular.

Correct answer: 4. Temporomandibular.